All are true regarding Primary CNS lymphoma except
1. Radiotherapy and chemotherapy is of no value
2. Occurs in AIDS pt.
3. Commonly occurs in immuno-compromised persons
4. EBV may be a cause

Correct answer: 1. Radiotherapy and chemotherapy is of no value

Explanation: Ans is 'a' i.e. ie Radiotherapy and chemotherapy is of no value Primary CNS lymphoma These are B cell malignancies that present within the neuraxis without evidence of systemic lymphoma. They occur most frequently in immunocompromised individuals, specifically organ transplant recipients or patients with AIDS. In immunocompromised patients CNS lymphomas are invariably associated with Epstein - Barr virus (EBV) infection of the tumor cells. Treatment : The prognosis of primary CNS lymphoma is poor compared to histologically similar lymphoma occurring outside the CNS. Many patients experience a dramatic and radiographic clinical response to glucocorticoids however it inevitably relapses within weeks. The mainstay of definitive therapy is chemotherapy including high-dose methotrexate. This is followed in patients < 60 years with radiotherapy. The mainstay of definitive therapy is chemotherapy. A single dose of rituximab is generally administered prior to cytotoxic chemotherapy Chemotherapy includes high-dose methotrexate, but multiagent chemotherapy, usually adding vincristine and procarbazine, appears to be more effective than methotrexate alone. Chemotherapy is followed in patients 90% of patients develop recurrent CNS disease.